Marshall-Marchetti-Krant surgery is clone for
1. Stress incontinence
2. Urge incontinence
3. Vesico vaginal fistula
4. Bladder Obstruction

Correct answer: 1. Stress incontinence

Explanation: Stress incontinence